All are true about vestibular nerve EXCEPT
1. It has two divisions- superior and inferior vestibular
2. Vestibular nuclei are situated at junction of pons and medulla
3. Nerve fibers relay at Scarpa's ganglion
4. Nucleus lies in midbrain near aqueduct

Correct answer: 4. Nucleus lies in midbrain near aqueduct

Explanation: Vestibular nerve nuclei lie at the pontomedullary junction. It arises from bipolar cells in the vestibular ganglion, ganglion of Scarpa, which is situated in the upper part of the outer end of the internal auditory meatus. The vestibular nerve enters the brain stem at the pontomedullary junction and contains two divisions, the superior and inferior vestibular nerves. The superior vestibular nerve innervates the utricle, as well as the superior and lateral canals. The inferior vestibular nerve innervates the posterior canal and the saccule. Most of the afferent fibers then terminate in one of the four ventricular nuclei, which contain the cell bodies of the second-order neurons of the vestibular nerve. These nuclei are located on lateral floor and wall of the fourth ventricle in the pons and medulla.